Squamous cell carcinoma spreads commonly
1. Implantation
2. Hematogenous spread
3. Lymphatic spread
4. Trancoelomic spread

Correct answer: 3. Lymphatic spread

Explanation: In SCC, when deep invasion leads to eventual metastasis.Local and regional lymph nodes are the most common sites of metastasis.AJCC 8E pg: 171